Dorsal Pancreatic bud give rise to:-
1. Head
2. Uncinate process
3. Body
4. None of above

Correct answer: 3. Body

Explanation: Pancreas develops from two pancreatic buds; ventral and dorsal. The ventral pancreatic bud forms the uncinate process and lower part of the head of pancreas and rest of the parts of pancreas are developed from the dorsal pancreatic bud. The main pancreatic duct (of Wirsung) is formed by the distal part of dorsal pancreatic duct and entire ventral pancreatic duct, The accessory pancreatic duct (of Santorini) is developed from the proximal part of dorsal pancreatic duct.